What is the proof of eyes being open for a few hours after death –
1. Kevorkian sign
2. Tache noir
3. Both of the above
4. None of the above

Correct answer: 2. Tache noir

Explanation: If eyes are open for few hours after death a film of cell debris and mucus forms two yellow triangles on sclera which turns brown then black. This is tache noir. Kevorkian sign is fragmentation of blood column in retinal vessels which occur in few minutes after death and last for an hour.